Which of the enzyme of glycolysis is used ingluconeogenesis ?
1. Glucokinase
2. PFK
3. Pyruvate kinase
4. Phosphotriose isomerase

Correct answer: 4. Phosphotriose isomerase

Explanation: Ans. is 'd' i.e., Phosphotriose isomerase Enzyme in gluconeogenesis Seven of the reactions of glycolysis are reversible and are used in the synthesis of glucose by gluconeogenesis. Thus, seven enzymes are common to both glycolysis and gluconeogenesis: (i) Phosphohexose isomerase; (ii) Aldolase; (iii) Phosphotriose isomerase; (iv) Glyceraldehyde 3-phosphate dehydrogenase; (v) Phosphoglycerate kinase; (vi) Phosphoglycerate mutase; (vii) Enolase. Three of the reactions of glycolysis are irreversible and must be circumvented by four special reactions which are unique to gluconeogenesis and catalyzed by : (i) Pyruvate carboxylase, (ii) PEP carboxykinase, (iii) Fructose-1, 6- bisphosphatase, (iv) Glucose-6-phosphatase.